Mitral cells and periglomerular cells are seen in
1. Medulla
2. Olfactory bulb
3. Primary visual cortex
4. Geniculate body

Correct answer: 2. Olfactory bulb

Explanation: In the olfactory bulbs, the axons of the olfactory sensory neurons contact the primary dendrites of the mitral cells and tufted cells to form anatomically discrete synaptic units called olfactory glomeruli. The olfactory bulbs also contain periglomerular cells, which are inhibitory neurons connecting one glomerulus to another, and granule cells, which have no axons and make reciprocal synapses with the lateral dendrites of the mitral and tufted cells.